Rigor mortis starts from -
1. Eyelid muscles and lower jaw
2. Upper extremity and upper eyelid
3. Trunk muscle, lower extremity
4. Lower extremity and face

Correct answer: 1. Eyelid muscles and lower jaw

Explanation: The order of appearance (and hence also disappearance) of rigor mortis is: it first appears in involuntary muscles (heart) →3 voluntary muscles upper eyelids → neck → jaw → face → chest → upper limbs abdomen lower limbs.